Which of the following is most active against slowly dividing tubercular bacilli ?
1. Isoniazid
2. Rifampicin
3. Streptomycin
4. Ethambutol

Correct answer: 2. Rifampicin

Explanation: Ans. is 'b' i.e., Rifampicin